Which of the following is true about TB meningitis-a) Exudates are formed on the convexities of brainb) CSF stored at 4°C in the time of transportationc) Hydrocephalus is common sequalaed) Meningoencephalitis is common manifestation
1. abc
2. bcd
3. ac
4. bd

Correct answer: 2. bcd